The immunoglobulin level, which is specifically elevated in autoimmune pancreatitis is which of the following?
1. IgM
2. IgE
3. IgG4
4. IgG2

Correct answer: 3. IgG4

Explanation: Serum IgG4 is elevated at least twofold higher than 135 mg/dL in those with autoimmune pancreatitis. Reference: Harrisons Principles of Internal Medicine, 18th Edition, Page 2644